Wha is HTH?
1. Hormonal contraceptive
2. Water disinfectant
3. Insecticide
4. Rodenticide

Correct answer: 2. Water disinfectant

Explanation: High test Hypochlorite (HTH) or perchloron is a calcium compound which contains 60 to 70 % available chlorine for disinfection. Ref: Park 21st edition, page 661.